Multiple sclerosis is not associated with?
1. Hydrocephalus
2. Spinal cord involvement
3. Optic neuritis
4. Spasticity

Correct answer: 1. Hydrocephalus

Explanation: Hydrocephalus REF: Harrison's Internal Medicine 17th ed chapter 375 Multiple sclerosis (MS) is characterized by a triad of inflammation, demyelination, and gliosis (scarring); the course can be relapsing-remitting or progressive. Lesions of MS typically occur at different times and in different CNS locations (i.e., disseminated in time and space) Clinical Manifestations Weakness of the limbs Spasticity Optic neuritis (ON) Visual blurring Diplopia Sensory symptoms are varied and include both paresthesias Ataxia Bladder dysfunction Constipation Cognitive dysfunction Depression Fatigue Sexual dysfunction Facial weakness Vertigo